The most abundant glycoproteins present in basement membrane is
1. Laminin
2. Fibronectin
3. Collagen type 4
4. Heparan sulphate

Correct answer: 1. Laminin

Explanation: Lamininis the most abundant glycoproteins in the basement membrane .the type 4 collagen .laminin and nidrogen are present in basement mem Ref.robbins Harrison.17/e p2462